Craniofacial dysjunction is seen in:
1. Guerin fracture.
2. Lefort3 fracture.
3. Lefort1 fracture.
4. All of the above.

Correct answer: 2. Lefort3 fracture.